Net power of Cornea
1. +48D
2. +43D
3. +45D
4. +60D

Correct answer: 2. +43D

Explanation: Power of anterior surface of Cornea = +48D
Power of posterior surface of Cornea= –5D
Net power of Cornea= +48D –5D = +43D